A patient presented with a 4 cm tumour in the left pariental lobe for which he underwent surgery and radiotherapy. After 2 months, he presented with headache and vomiting. Which of the following would best characterize the lesion in this patient?:
1. Gd-enhanced MRI
2. 99T-HNIPAO SPECT brain
3. Digital subtraction angiography with dual source CT scan
4. 18EDG PET Scan

Correct answer: 4. 18EDG PET Scan

Explanation: D i.e. 18FDG PET Scan - 18 FDG-PET scan detects cerebral metabolism and is used for tumor grading, estimation of prognosis, localization of optimal biopsy site (most malignant areas show maximum F18 fluoro-deoxy-glucose uptake), assessment of response to therapy and detection of recurrence (versus radionecrosis)Q in brain tumor. 99mTcHMPAO-SPECT Scan detects uptake / distribution of lipophilic radio pharmaceutical (99mTcHMPAO) across functioning BBB proportional to cerebral blood flow (with no redistribution). It is indicated in acute cerebral infarct imaging before evidence of CT/MRI pathology (and gives positive finding with in 1 hr of event), stroke (shows flip flop phenomenon ie decreased arterial, equal capillary, and increased perfusion/activity in venous phase secondary to slow washout and late arrival of blood collaterals), dementia, seizure and blood brain barrier study.